Palsy of right genioglossus causes -
1. Deviation of tongue to right
2. Deviation of tongue to left
3. Deviation of soft palate to right
4. Deviation of soft palate to left

Correct answer: 1. Deviation of tongue to right

Explanation: Genioglossus deviates the tongue to opposite side. Thus paralysis of right genioglossus will cause deviation of tongue to right side because of intact left genioglossus.